Most specific antiemetic for chemotherapy induced vomiting is:-
1. Doxylamine
2. Tegaserod
3. Granisetron
4. Domperidone

Correct answer: 3. Granisetron

Explanation: DOC for chemotherapy induced vomiting are 5HT3 antagonist which are drugs ending with setron. Granisetron Ondansetron Dolasetron These agent selectively block 5HT3 receptor in periphery (Visceral Vagal afferent fibers) and in brain(CTZ) Doxylamine are somnifacient (have strong sedative properties and are used in treatment of insomnia) these are 1st generation antihistamine like diphenhydramine .